Only nerve that originates from the dorsal surface of the brain stem is
1. Trochlear
2. Occulomotor
3. Vagus
4. Abducent

Correct answer: 1. Trochlear